Tom smith septic arthritis affects?
1. Neck of infants
2. Hip joint of infants
3. Elbow joint of children
4. Shoulder joint in children

Correct answer: 2. Hip joint of infants

Explanation: Ans. b. Hip joint of infantsSeptic arthritis in infancy is known as tom smith arthritis.Tom smith arthritis is a septic arthritis of the hip joint seen in infants.The onset is acute with rapid abscess formation, which may burst out or be incised and heals rapidly. Telescopy test is positive.Clinically, this condition closely resembles a congenital dislocation of the hip (CDH).